Compound that joints glycolysis with glycogenesis & glycogenolysis :
1. Glucose 1, 6 bi phosphate
2. Glucose 1 PO4
3. Glucose 6 PO4
4. Fructose 1, 6 bi phosphate

Correct answer: 3. Glucose 6 PO4

Explanation: C i.e. Glucose 6 PO4Glucose 6 phosphate is an important compound that joins several metabolic pathways viz. glycolysis, glycogenolysis, glycogenesis, gluconeogenesis and pentose phosphate pathwayQ